Which of the following shows breast necrosis and calcification?
1. Comedo sub type of DCIS
2. Cribfiform sub type of DCIS
3. Colloid carcinoma
4. Lobular carcinoma in situ

Correct answer: 1. Comedo sub type of DCIS

Explanation: Breast cancer: Bilateral tendency - lobular carcinoma Breast cancer at microscopic level - ductal carcinoma Breast necrosis with calcification - Comedo subtype of DCIS (Cheese like appearance of necrotic material within the duct) Comedo DCIS: More often it is detected on mammography as clustered or linear and branching Areas of calcification defined by two features 1. Pleomorphic grade nuclei 2. Areas of central necrosis Cribriform DCIS: May have rounded ( cookie cutter like ) spaces within the ducts, or a solid DCIS Pattern Micropapillary DCIS: Produces bulbous protrusions without a fibrovascular core often arranged in Complex intra ducted patterns Cribriform DCIS Micro papillary DCIS